A five day old, full term male infant was severely cyanotic at birth. Prostaglandin E was administered initially and later ballooned atrial septosomy was done which showed improvement in oxygenation. The most likely diagnosis of this infant is:
1. Tetralogy of Fallot
2. Transposition of great vessels
3. Truncus Arteriosus
4. Tricuspid Atresia

Correct answer: 2. Transposition of great vessels

Explanation: Administration of Prostaglandin E and ballooned atrial septosomy which shows improvement in oxygenation in a severely cyanotic five day old male infant suggest this case as transposition of great vessels. Oxygenation is normal before birth but, after birth as ductus arteriosus closes, severe hypoxia occurs and in the absence of V.S.D, or ASD child presents with cyanosis and tachypnea at birth. Ref: O P Ghai Essential Pediatrics, 6th Edition, Pages 406-413